Lead time is defined is -
1. Time between diagnosis and treatment
2. Time between point where the diagnosis is made by screening test to usual diagnosis.
3. Time between disease onset and outcome
4. Time between usual time of diagnosis and outcome.

Correct answer: 2. Time between point where the diagnosis is made by screening test to usual diagnosis.

Explanation: Ans. is 'b' i.e., Time between point where the diagnosis is made by screening test to usual diagnosis